Deformity in posterior elbow dislocation
1. Flexion
2. Extension
3. Both
4. None

Correct answer: 1. Flexion

Explanation: Refer Clinical orthopedic p 786 In posterior elbow dislocation, elbow is flexed with exaggerated prominence of the olecranon